Protein daily requirement is:
1. lgm/kg
2. 2gm/kg
3. 3gm/kg
4. 4gm/kg

Correct answer: 1. lgm/kg

Explanation: Ans. (a) lgm/kgRef: K. Park 21sted. 1563* According to Indian medical council recommendation the daily protein requirement is lgm/kg body weight.* Assessment of protein nutritional status is done by: arm muscle circumference, the creatinine-height index, serum albumin and transferrin, total body nitrogen etc.* BEST MEASURE of the state of protein nutrition is: SERUM ALBUMIN CONCENTRATION (should be more than 3.5gm/dl)